The following statement about DDT is false:
1. Pyrethrum has synergistic action
2. It is a contact poison
3. Immediately kills the prey
4. Residual effect lasts for 18 months

Correct answer: 3. Immediately kills the prey

Explanation: Immediately kills the prey Repeat from May 11 DDT does not immediately kill the insects. It takes several hours to kill them.